Receptor on neuronal membrane that induces development of glioma
1. CD-117
2. CD-133
3. CD-33
4. CD-45

Correct answer: 2. CD-133

Explanation: Ans. b. CD-133